Smallest diameter of true pelvis is:
1. Interspinous diameter
2. Diagonal conjugate
3. True conjugate
4. Intertuberous diameter

Correct answer: 1. Interspinous diameter

Explanation: Interspinous diameter